Randomization is useful to eliminate
1. Observer bias
2. Confounding factors
3. Patient bias
4. Sampling bias

Correct answer: 2. Confounding factors

Explanation: Randomization: The groups should be alike with regard to certain variables or characteristics that might affect the outcome of experiments The entire study population can be stratified into subgroups according to the variable Individuals within each subgroup can then be randomly allocated into study and control groups Ref: 25th edition, Park's Textbook of Preventive and Social Medicine, Page no. 90